Enzyme activated by decrease in insulin glucagon ratio
1. Glucokinase
2. Hexokinase
3. PFK
4. glucose 6 phosphatase

Correct answer: 4. glucose 6 phosphatase

Explanation: ref : lipincott